A patient with H. Pylori infection is treated with drugs. The best method to detect presence of residual H.Pylori infection in this person is which of the following?
1. Rapid urease test
2. Urea breath test
3. Endoscopy and biopsy
4. Serum anti H.Pylori titre

Correct answer: 2. Urea breath test

Explanation: Urea breath test is a test with high sensitivity and specificity for Helicobacter pylori. It is a non-invasive test used to diagnose and confirm elimination of H.pylori infection. Ref: Davidson's principles and practice of Medicine, 20th Edition, Chapter 22, Page 886; Harrison's Principles of Internal Medicine, 17th Edition, Page 947; 16th Edition, Page 1755, 887